Blood volume in preterm neonate is –
1. 90 ml/kg
2. 80 inl/kg
3. 70 inUkg
4. 60 ml/kg

Correct answer: 1. 90 ml/kg